Dietary fibre above which level is considered harmful to humans?
1. 30 g
2. 40 g
3. 50 g
4. 60 g

Correct answer: 4. 60 g

Explanation: Intake of dietary fibres in excess of 60 g per day can reduce nutrient absorption and cause bowel irritation. Ref: Park 22nd edition, page 569